A patient with multiple injuries exhibit paradoxical chest movements during inspiration and expiration due to?
1. Pneumothorax
2. Flail chest
3. Cardiac temponade
4. Hemothorax

Correct answer: 2. Flail chest